Drugs used for the treatment of Parkinson's disease include:–
1. Levodopa
2. Bromocriptine
3. Benserazide
4. All of these

Correct answer: 4. All of these

Explanation: Levodopa, bromocriptine and benserazide are used in Parkinsonism.
Mazindol is a potent anorectic agent. It has an additional peripheral effect of increasing metabolic rate.
Acyclovir is an antiviral agent, not used in parkinsonism.